True about myasthenia gravis
1. Associated with thymomoa in 3/4 of cases
2. Incremental response seen with repetitive electric stimuli
3. Skeletal muscle function improve after rest
4. Edrophonium test negative

Correct answer: 3. Skeletal muscle function improve after rest

Explanation: *The weakness increase during repeated use and may improve following sleep or rest.only 10% of cases are associated with thymomas 65% with hyperplasia of thymus. Edrophonium test is positive. In electrodiagnostic testing MG patients show a rapid reduction of >10-15% in the amplitude of evoked response. Ref Harrison20th edition pg 2445